A 3-year-old male child diagnosed to have acute UTI developed left flank pain on ultrasonogram, the left ureter was found to be duplicated the most probable site of the opening of ectopic ureter will be –
1. Prostatic urethra
2. Vas deferens
3. Seminal vesicle
4. Trigone of bladder

Correct answer: 1. Prostatic urethra

Explanation: Ectopic ureter

A ureter that drains outside the bladder is referred to as an ectopic ureter.
Ectopic ureter usually drains the upper pole of a duplex collecting system (two ureter → duplication of ureter).
It is more common in girls.
The opening of ectopic ureter differs in female and males -

I) Female

Urethra at bladder neck → 35%
Urethrovaginal septum → 35%
Vagina → 25%
Cervix, uterus, Gartner duct, or a urethral diverticulum → few

2) Male

Posterior (prostatic) urethra above external sphincter → 47%
Seminal vesicle → 33%
Prostatic utricle → 10%
Ejaculatory 'duct → 5%
Vas deferens → 3 5%